Women with infertility with B/L cornual block on HSG, Next investigation for management is
1. Tuboplasty
2. IVF
3. Hydrotubation
4. Laparoscopy and Chromotubation

Correct answer: 4. Laparoscopy and Chromotubation

Explanation: HSG is the initial test for tubal patency The cornua of the uterus may go into spasm, as a result of which the dye may not enter the tubes at all. This may be interpreted as a tubal block, when the tubes are actually open. If the spill is "loculated", the presence of adhesions can be suspected, but not confirmed. If the HSG shows that the tubes are closed, then one must do a laparoscopy to confirm this diagnosis. Laparoscopy with Chromopertubation is confirmative for making a diagnosis of tubal disease.